Meaning of term vitriolage is -
1. Using vitriol for suicide
2. Using vitriol for murder
3. Vitriol throwing
4. Performation of stomach caused by H2SO4

Correct answer: 3. Vitriol throwing

Explanation: Vitriolage * Vitriolage means throwing of acid on the face or body of a person with a malicious intention to cause bodily harm or disfigurement or to cause blindness. * The term is derived from the practice of throwing sulfuric acid (oil of vitriol). However, it is broadly used to denote injury caused by throwing any corrosive substance such as acid or alkali. REF;THE SYNOPSIS OF FORENSIC MEDICINE:KS NARAYANA REDDY;28th EDITION;PAGE NO298